Type I membrano proliferative Glomerulonephritis is commonly associated with all EXCEPT
1. SLE
2. Persistant hepatitis C infections
3. Partial lipodystrophy
4. Neoplastic diseases

Correct answer: 3. Partial lipodystrophy

Explanation: Ans. (c) Partial lipodystrophy(Ref: Robbins 9th/pg 920-921; 8th/pg 928-929)Types II & III MPGN are associated with complement factor H deficiency, presence of C3 nephritic factor, partial lipodystrophy (type II MPGN) or complement receptor deficiency (type III MPGN)